Chromosome X is
1. Metacentric
2. Submetacentric
3. Acrocentric
4. Telocentric

Correct answer: 2. Submetacentric

Explanation: Submetacentric - X-chromosome
Acrocentric - Y-chromosome